TESPAL is used in management of
1. CSOM
2. Epistaxis
3. Ulcerative tonsilitis
4. Ca larynx

Correct answer: 2. Epistaxis

Explanation: Tespal: (Trans nasal endoscopic sphenopalatine artery ligation) Indication: Epistaxis not responding to conventional conservative management. Posterior epistaxis Complications of TESPAL: 1. Palatal numbness 2. Sinusitis 3. Decreased lacrimation 4. Septal perforation 5. Inferior turbinate necrosis Ref otolaryngology dhingra 3e